Which of the following diseases is known as the "kissing
disease":
1. Acquired immunodeficiency syndrome (AIDS)
2. Infectious mononucleosis
3. Primary syphilis
4. Recurrent apthous stomatitis

Correct answer: 2. Infectious mononucleosis